The following are causes of hematuria in childhood except
1. Alport's syndrome
2. E. coli 0157
3. Factor V Leiden deficiency
4. Alpha thalassemia

Correct answer: 4. Alpha thalassemia

Explanation: Haemolytic uraemia syndrome may be triggered by E.coli 0157. Factor V leiden deficiency is present in up to 10% of the Caucasian population and results in a pro-coagulation tendency, which in turn may lead to renal thrombosis and haematuria.